Which of the following nuclei controls salivation of parotid gland?
1. Superior salivatory nucleus
2. Nucleus ambiguus
3. Nucleus of the solitary tract
4. Inferior salivatory nucleus

Correct answer: 4. Inferior salivatory nucleus

Explanation: The ventromedial nucleus is located within the hypothalamus, and functions as the satiety center involved with body homeostasis.
The superior salivatory nucleus functions with CN VII, and gives off parasympathetic efferent fibers (from the cortex) which control salivation (of submandibular and sublingual glands), as well as glandular secretion.
Also giving off parasympathetic efferents is the nucleus ambiguous of CN IX and X, which controls swallowing.
Sensory afferents to the brainstem (eventually relayed to the thalamus and cortex) nucleus of the solitary tract, involved with CN VII, IX, and X, mediate taste sensation.
The inferior salivatory nucleus gives off parasympathetic efferent fibers by way of CN IX to cause salivation by way of the parotid gland